Which one of the following possesses a distinct internal elastic lamina ?
1. Capillary
2. Metarteriole
3. Arteriole
4. Muscular artery

Correct answer: 4. Muscular artery

Explanation: Muscular artery possesses a distinct internal elastic lamina Elastic arteries consists of incomplete internal elastic lamina Capillaries, arterioles, metarterioles, veins doesn't possesses internal elastic lamina. Ref : Ganong's review of medical physiology 26e pg 559.